The reference protein is -
1. Fish
2. Egg
3. Rice
4. Lemon

Correct answer: 2. Egg

Explanation: Ans. is 'b' i.e., Egg * Eggs are used in nutrition studies as a "reference protein" as eggs proteins are considered to be the best among food proteins because of their high biological value and digestibility.* So NPU is also high because it is the product of biological value and digestibility cofficient divided by 100.